The following cereals should be avoided in patients with celiac diseases, except
1. Wheat
2. Barely
3. Maize
4. Rye

Correct answer: 3. Maize

Explanation: . Maize